Rho kinase inhibitor:
1. Fasudil
2. Ranolazine
3. Amiloride
4. Nicorandil

Correct answer: 1. Fasudil

Explanation: Ans. a. Fasudil (Ref: Katzung 11/e p203; Harrison 19/e p1590, 18/e p2011)Fasudil is a Rho kinase inhibitor leading to vasodilatation.FasudilRho kinase (protein kinase)-Vasocontrictor signalFasudil is a Rho kinase inhibitorQ leading to vasodilatation.New Anti-Anginal DrugsFasudilRho kinase inhibitorQTrimeiazidine* Metabolic modulatorsIvabardine* Direct bradycardic agentDedanonoate* Protein kinase G facilitatorGlybenclamide* Sulphonyl ureasOther New Anti-Anginaf DrugsThiazolidinedionesVasopeptidase inhibitorsNitric oxide donors (L-arginine)CapsaicinAmilorideRanolazine (Harrison 19/e p1590, 18/e p2011)MOA: Reduced contractility , due to blockade of late Na+ current that facilitates Ca2+ entry via Na+-Ca2+ exchanger, thus prevents CaJ- overloadQNicorandil (Harrison 19/e p1590, 18/e p2011)K' channel opener - reduction of free intracellular Ca2